Which of the following is not recommended in the treatment of Chronic Low Back Pain:
1. NSAIDs
2. Bed Rest for 3 months
3. Exercises
4. Epidural steroid Injection

Correct answer: 2. Bed Rest for 3 months

Explanation: B. i.e. Bed rest for 3 months In low back ache (lumbago) bed rest should not exceed 2 (to 4) daysQ, because bed rest for longer period may lead to debilitating muscle atrophy and increased stiffness. Therefore bed rest > 2 days (Harrison)/>4 days (CDTF) is not recommended.